The distribution of keratins in the cornea is
1. K3/K12
2. K2/K11
3. K5/K14
4. None of the above

Correct answer: 1. K3/K12

Explanation: Ref:- Review of Dermatology by Alikhan; pg num:- 8